Goblet cells in conjunctiva are least dens in which part -
1. Nasal
2. Temporal
3. Inferior
4. None

Correct answer: 2. Temporal

Explanation: Goblets cells are least dense in upper temporal fornix. Ref: Wolfs 8th/e p.61